A middle aged old female presents to surgical OPD with thyroid swelling. She has been treated for Hodgkin's lymphoma. Which of the following thyroid malignancy is most likely to be suspected in this patient?
1. Papillary thyroid cancer
2. Medullary thyroid cancer
3. Anaplastic thyroid cancer
4. Thyroid lymphoma

Correct answer: 1. Papillary thyroid cancer

Explanation: Given history of treatment of Hodgkin's lymphoma most likely raises a suspicion of Papillary carcinoma of thyroid because of the radiotherapy used in the treatment of Hodgkin's lymphoma. Papillary carcinoma of thyroid: MC among thyroid malignancy Commonly seen in iodine sufficient areas Low dose radiation exposure during childhood increases the risk Thyroglossal cyst and Hashimoto's thyroiditis also increases the risk